Retraction of tympanic membrane touching promontory. What is sade's grade?
1. 1
2. 2
3. 3
4. 4

Correct answer: 3. 3

Explanation: Ans. is 'c' i.e., 3 Atelectic grades of pars tensa Sade classification:: Grade 1 = slight retraction of TM over the annulus Grade 2 = the TM touches the long process of the incus Grade 3 = the TM touches the promontory Grade 4 = the TM is adherent to the promontory